All of the following are effective topically except –
1. Procaine
2. Cocaine
3. Lidocaine
4. Amethocaine

Correct answer: 1. Procaine